Xanthogranulomatous pyelonephritis is most often due to
1. E. coli
2. Proteus
3. Pseudomonas
4. Klebsiella

Correct answer: 2. Proteus

Explanation: Xanthogranulomatous pyelonephritis occurs when a chronic urinary obstruction (often by staghorn calculi), together with chronic infection, leads to the suppurative destruction of renal tissue.Proteus infection is associated with staghorn formation.Ref: Harrison; 19th edition; Page no: 1033